A 50 year old female is admitted with abdominal pain and anuria. Radiological studies revealed bilateral impacted ureteric stones with hydronephrosis. Urine analysis showed RBCs with pus cells in urine. Serum creatinine level was 16 mg/dl and urea level was 200 mmol/1. Which of the following should be the immediate treatment?
1. Hemodialysis
2. 'J' stent drainage
3. Lithotripsy
4. Ureteroscopic removal of stones

Correct answer: 2. 'J' stent drainage

Explanation: This is the best modality of treatment to immediately revert anuria in patients with bilateral obstructing renal stone. Stenting can be done in other scenarios such as pyelonephritis due to obstructed stone, severe renal colic, long term obstruction. Ref: Urinary Stone Disease : The Practical Guide to Medical and Surgical Management By Marshall L. Stoller, Maxwell V. Meng, 2007, Page 475